Which of the following vitamins act as coenzyme in decarboxylation reaction?
1. Pyridoxine
2. Riboflavin
3. Biotin
4. Niacin

Correct answer: 1. Pyridoxine

Explanation: Coenzyme  for carboxylation reaction - Biotin
Coenzyme  for decarboxylation reaction - Pyridoxine